Which is not included in AIDS related complex?
1. Ectopic pregnancy
2. Recurrent genital candidiasis
3. Generalised lymphadenopathy
4. Chronic diarrhea

Correct answer: 1. Ectopic pregnancy

Explanation: HIV symptoms: AIDS related complex (ARC) It belongs to class B of HIV symptoms. The patients at this stage have various diseases that occur because the HI virus has weakened the immune system. The following HIV signs may have patients with ARC: * Long-lasting diarrhea (over four weeks) * Unintended heavy weight loss * Long lasting fever * Night sweats * Bacterial infections caused by bacteria * Bacterial blood poisoning (sepsis) * Phthisis * Herpes zoster * Oral hairy leukoplakia (whitish changes on the lateral tongue border) * Fungi caused by fungi * HIV symptoms - Women: vaginal inflammation caused by fungi, malignant changes in the cervix REF : HARRISONS 21ST ED